Thalidomide is drug of choice for ............. , if two courses of glucocorticoids fail.
1. Lepra I reaction
2. Lepra II reaction
3. Both Lepra I & II reactions
4. Nerve abscess

Correct answer: 2. Lepra II reaction

Explanation: Thalidomide is the DOC for Type II reaction, if 2 courses of glucocorticoids fail.